The number of plantar interossei in the sole?
1. 2
2. 3
3. 4
4. 5

Correct answer: 2. 3

Explanation: Interosseous Muscles of the FootThese are small muscles placed between the metatarsal bones. There are three plantar and four dorsal interossei.Ref: Chaurasia; Volume 2; 6th edition; Page no: 115